Drug of choice for restless leg syndrome ?
1. Ropinirole
2. Chlorpromezine
3. Haloperidol
4. Bupripione

Correct answer: 1. Ropinirole

Explanation: Ans. is'a'i.e., Ropinirole Drugs of choice for Restless leg syndrome are dopamine agonists like ropinirole or promipole or rotigotine.Levodopa can also be used.